Microscopic examination of a thin blood smear from a patient suspected of having malaria reveals numerous normal size erythrocytes without stippling but with ring stages, many with multiple ring stages and applique forms. Several erythrocytes show developing trophozoites that are spread across the erythrocytes in a band fashion. Which of the following is the most likely cause of infection?
1. Plasmodium vivax
2. Plasmodium malariae
3. Plasmodium falciparum
4. A mixed infection with two plasmodium species

Correct answer: 4. A mixed infection with two plasmodium species

Explanation: Multiple ring stages and applique forms are indicative of P. Falciparum; several erythrocytes show developing trophozoites that are spread across the erythrocytes in a band fashion that is indicative of P. Malariae infection. Normal size erythrocytes would exclude P. Vivax and P. Ovale.